A young man underwent surgery for the removal of Glomus tumor. Glomus tumor is seen commonly in:
1. Liver
2. Adrenals
3. Pituitary
4. Finger

Correct answer: 4. Finger

Explanation: Glomus tumor is a benign soft-tissue extremity tumors, these lesions arise from dermal neuro myo arterial apparatus (glomus bodies). Glomus tumor more commonly affects the hand. In addition to the severe pain, point tenderness and cold sensitivity are associated with these lesions and subungual glomus tumors typically appear as blue, subungual discolorations of 1 to 2 mm. Tumor excision is the treatment of choice. Ref: Cole P., Heller L., Bullocks J., Hollier L.H., Stal S. (2010). Chapter 16. The Skin and Subcutaneous Tissue. In F.C. Brunicardi, D.K. Andersen, T.R. Billiar, D.L. Dunn, J.G. Hunter, J.B. Matthews, R.E. Pollock (Eds), Schwartz's Principles of Surgery, 9e.